A patient with pain in back. Lab investigation shows elevated ESR. X-ray skull shows multiple punched out lytic lesions. Most imp. Investigation to be done is -
1. Serum acid phosphatase
2. CT head with contrast
3. Whole body scan
4. Serum electrophoresis

Correct answer: 4. Serum electrophoresis

Explanation: This patient has : -

Multiple punched-out lytic lesions of the skull.
Elevated ESR
Back pain
Diagnosis is multiple myeloma.
Multiple myelomas is diagnosed by M bands on serum electrophoresis.